A 55 year old male presents with severe chest pain radiating to the left arm. ECG shows ST segment elevation in the V4, V5 and V6 leads. CK-MB and troponin levels are found to be increased. The most likely cause for the increase in the enzymes in serum is
1. Clumping of nuclear chromatin
2. Lysosomal Autophagy
3. Mitochondrial swelling
4. Cell membrane defects

Correct answer: 4. Cell membrane defects

Explanation: Answer: d) Cell membrane defectsREVERSIBLE & IRREVERSIBLE INJURIESReversible cell injuryIrreversible cell injury* Cellular swelling - first manifestation of injury* Plasma membrane - blebbing, blunting, loss of microvilli* Fatty change-lipid vacuoles in cytoplasm* Myelin figures in cytoplasm* Mitochondrial swelling and small amorphous densities* Dilation of ER, detachment of polysomes* Nucleus - disaggregation of granular and fibrillar elements* Clumping of nuclear chromatin* Cytoplasm - Myelin figures, moth eaten appearance* Lysosomal swelling* Plasma membrane damage/disruption* Decreased basophilia, Increased Eosinophilia* Marked dilation of mitochondria with large amorphous densities* Nuclear changes - pyknosis, karyolysis, karyorrhexis* The patient is having myocardial infarction which resulted from irreversible cardiac myocyte death. All other options are reversible injuries